Aplastic anemia can progress to all except:
1. AML
2. Myelodysplastic anemia
3. Pure red cell aplasia
4. Paroxysmal nocturnal hemoglobinuria

Correct answer: 3. Pure red cell aplasia

Explanation: Ans. (c) Pure red cell aplasia(Ref: Robbins 9th/pg 653-655)Aplastic anemia can progress toAMLMyelodysplastic anemiaParoxysmal nocturnal hemoglobinuriaAplastic anemia cannot progress to Pure red cell aplasia